Which of the following is the smallest posterior tooth:
1. Maxillary first premolar.
2. Mandibular first premolar.
3. Maxillary second premolar.
4. Mandibular second premolar.

Correct answer: 2. Mandibular first premolar.

Explanation: Mandibular first premolar is the smallest tooth with MD diameter of 7 mm and BL.